Two strands of DNA is/are held by:
1. Glycosidic bond
2. Hydrogen bond
3. Covalent bond
4. Ionic bond

Correct answer: 2. Hydrogen bond

Explanation: Answer( b) hydrogen bond The two strands are held together by hydrogen bond formed by complementary base pairs" (Satyanarayan 4th/75)"The base pairs are held together by hydrogen bonds: two between A and T and three between G and C. These hydrogen bonds, plus the hydrophobic interactions between the stacked bases, stabilize the structure of the double helix.